Hardy Weinberg law is related to
1. Gene therapy
2. Population genetics
3. Human genome project
4. Eugenics

Correct answer: 2. Population genetics

Explanation: Hardy Weinberg law: states that the genotype frequencies in a population remain constant or are in equilibrium from generation to generation unless specific disturbing influences are introduced.

Genetic equilibrium (HW law) is a basic principle of population genetics; the entire principle is based on Mendelian genetics.
Deviations in HW law:

HW law fails to apply in:

Non-random mating (assortative mating)
New mutations
Genetic drift
Gene flow
Natural selection (mortality selection, fecundity selection)
Small populations migrations
Dynamic populations.

HW law assumes that human population is static, large and has random mating.